Human poverty index (HPI) includes all of the following except:
1. Probability at birth of not surviving till age 40 years
2. Child literacy rate
3. Percentage of population not using an improved water sources
4. Percentage of children underweight for age

Correct answer: 2. Child literacy rate

Explanation: Ans. b. Child literacy rateAdult literacy rate, not the child literacy rate is the component of Human Poverty Index (HPI).Human Poverty Index For Developing Countries (HPI-I)Probability at birth of not surviving to age 40Adult literacy rateUnweighted average of two indicators:% population not using improved water source% children underweight for ageHuman Poverty Index (HPI)HPI measures deprivation in basic dimensions of human developmentHPI is complimentary to Human Development Index (HDI)Components of HPIFor Developing Countries (HPI-I)For Developed Countries (HPI-II)* Probability at birth of not surviving to age 40* Adult literacy rate* Unweighted average of two indicators:1. % population not using improved water source2. % children underweight for age* Probability at birth of not surviving to age 60* % adults (aged 16-65 years) lacking functional literacy* skills* % people living below poverty line (BPL)* Rate of long term employment (12 months or more)